GFR is measured with which of the following?
1. Iodohippurate
2. Tc 99m – DTPA
3. Tc 99m – MAG3
4. Tc 99m – DMSA

Correct answer: 2. Tc 99m – DTPA